True about Aspergillosis?
1. Angioinvasive
2. Oto-mycosis
3. Occur in asthmatics
4. All of the above

Correct answer: 4. All of the above

Explanation: Ref. Microbiology by Ananthanarayan and Paniker, 8th ed. pg. 613ASPERGILLOSIS* Aspergillus fumigatus is the most common cause of aspergillosis.* Aspergillus is a mould with septate branching hyphae. Ability of A. fumigatus to grow at 45degC helps to distinguish it from other species.* Mode of transmission: Inhalation of Aspergillus spores (Conidia).* The commonest human disease caused by aspergillus is: otomycosis.* Aspergillus infection in neutropenic patient is characterized by hyphae invasion of blood vessels, thrombosis, necrosis and hemorrhagic infarction.* Clinical manifestations# Allergic bronchopulmonary aspergillosis occurs in patients with preexisting asthma or cystic fibrosis.# Endobronchial saprophytic pulmonary aspergillosis (Aspergilloma) in a patient with prior chronic lung disease, such as tuberculosis, sarcoidosis, bronchiectasis or histoplasmosis# Invasive aspergillosis develops as an acute pneumonic process with or without dissemination in the immuno-compromised patients (most common among patients with acute leukemia and recipient of tissue transplants.* CT finding: Halo sign and crescent sign# Allergic sinusitis may take three forms:* A fungal ball may form.* Chronic fibrosing granulomatous inflammation* Allergic fungal sinusitis# Aspergillosis in AIDS* Most commonly infect lung* CD4 + cell count is <50/mL* Most common radiologic finding is bilateral diffuse or focal pulmonary infiltrates with a tendency to cavitate.